All of the following lesions may be classified as
odontogenic tumours EXCEPT
1. Acanthomatous ameloblastoma
2. Branchial cleft cyst
3. Myxoma
4. Simple ameloblastoma

Correct answer: 2. Branchial cleft cyst